GLUT-5 is tra nsporter for -
1. Glucose
2. Fructose
3. Mannose
4. Galactose

Correct answer: 2. Fructose

Explanation: Ans. is 'b' i.e., Fructose o GLUT-5 is a transporter for fructose. FunctionMajor sites of expressionSecondary active transport(Na+-glucose cotransport) o SGLT1Absorption of glucoseSmall intestine, renal tubuleso SGLT 2QAbsorption of glucoseRenal tubules QFacilitated diffusionoGLUT1Basal glucose uptakePlacenta, Blood-brain barrier, brain. RBC,Kidney, colono GLUT 2 B-cell glucose sensor Q,Transport out of intestinal and renal epithelial cellsB cells of islets, liver, epithelial cells of small intestine & Kidneyo GLUT 3Basal glucose uptakeBrain, Placenta, Kidneyo GLLT4 QInsulin-stimulating glucose uptake QSkeletal and cardiac muscle Q,Adipose tissueo GLUT 5 QFructose transport QJejunum, spermo GLUT6NonePseudogeneoGLUT7G-6-P transporter in ERLiver